Which of the following is/ are seen in Hyperparathy roidism?
1. Osteitisfibrosacystica
2. Osteoporosis
3. Dissecting osteitis
4. All the above

Correct answer: 4. All the above

Explanation: Ans. is 'd' i.e., All the above Bone in HyperparathyroidismHealing responseResorptiono Osteitis fibrosa cystica (Distinctive bone manifestation) Characterized by replacement of normal cellular and marrow elements by fibrous tissueo Diffuse bone resorption o Subperiostal bone resorption of phalangeal tuftso Brown tumor of hyperparathyroidism (Well circumscribed dark brown area in the region of severe bone resorption)|o Osteoporosis o Deformityo Pathological fracturesOther manifestationso Absence of lamina dura (demineralization of mandible) o Pinhead stippling of skull o Marrow fibrosis